Sodium 2 mercapto ethane sulfonate is used as a protective agent is
1. Radiotherapy
2. Cancer chemotherapy
3. Lithotripsy
4. Hepatic encephalopathy

Correct answer: 2. Cancer chemotherapy

Explanation: Refer KDT 6/e p833 Sodium 2 mercapto ethane sulfonic acid is used to amelioreae the hemorrhagic cystitis caused by cycloohosphamide and Ifosfamide